Oxidation in pentose phosphate pathway utilises:
1. Oxidative phase
2. Non oxidative phase
3. Both of the above
4. None of the above

Correct answer: 1. Oxidative phase

Explanation: The enzymes of the pentose phosphate pathway act in the sequence of reactions of the pathway may be divided into two phases: an oxidative nonreversible phase and a nonoxidative reversible phase. Ref: Harper 28th edition, Chapter 21.